Which of the following statements about facilitated diffusion is true
1. It is a form of active transport
2. It requires a carrier protein
3. Rate of transport is proportionate to the concentration gradient
4. Requires creatine phosphate

Correct answer: 2. It requires a carrier protein

Explanation: Facilitated diffusion is a form of passive transport which occurs along the concentration gradient, but requires a carrier protein.